First step in management of CO poisoning is?
1. Intravenous methylene blue
2. 100% oxygen therapy
3. Ascorbic acid administration
4. None of the above

Correct answer: 2. 100% oxygen therapy

Explanation: Ans. is 'b' i.e. 100% oxygen therapy o First step is actually removal of the patient from the place of poisoning.o First step in clinical management is 100% oxygen by face mask.o IV methylene blue is the treatment choice if there is methemoglobinemia.